What is the primary toxicity of doxorubicin (Adriamycin)?
1. Cardiomyopathy
2. Pulmonary fibrosis
3. Peripheral neuropathy
4. Uric acid nephropathy

Correct answer: 1. Cardiomyopathy

Explanation: Doxorubicin, an antibiotic derived from Streptomyces species, has activity against sarcomas and carcinomas of the breast, liver, bladder, prostate, head and neck, esophagus, and lung. Its major side effect is production of a dilated cardiomyopathy. Patients receiving this agent should have echocardiography before and after treatment in order to monitor potential cardiac toxicity.